The guidelines for immunization against infectious disease includes all of the following except:
1. Live vaccines are contraindicated in pregnant women
2. Live vaccines should not be administered within 3 months of giving human immunoglobulin
3. Inactivated vaccines should not be given if there has been significant reaction to previous dose
4. Hay fever, sickle cell anemia and tuberculosis are contraindications for vaccination

Correct answer: 4. Hay fever, sickle cell anemia and tuberculosis are contraindications for vaccination

Explanation: d. Hay fever, sickle cell anemia and tuberculosis are contraindications for vaccination(Ref: Nelson's 20/e p 1564; IAP guidebook of Immunisation 2013-14, p 70)True contraindications to vaccination are:Severe allergic reaction to a vaccine component or following a prior dose of a vaccine;Encephalopathy occurring within 7 days of pertussis vaccination;Severe combined immunodeficiency (SCID) as a contraindication to rotavirus vaccine